All of the following statements about methotrexate are true EXCEPT:
1. It is cell cycle specific and kills cells in the S phase
2. Its toxicity primarily affects bone marrow and epithelial structures
3. Folic acid reverses its toxic effects
4. It is the drug of choice for choriocarcinoma

Correct answer: 3. Folic acid reverses its toxic effects

Explanation: Folinic acid (leucovorin) is used to reverse the adverse effect of methotrexate. Folic acid is ineffective. All other statements are true